True about diphtheria are all except:
1. Incubation period-2 to 5 days
2. Chemoprophylaxis is done with rifampicin
3. Previously immunized asymptomatic household contacts should receive booster dose
4. Child with diphtheria is given antitoxin

Correct answer: 2. Chemoprophylaxis is done with rifampicin

Explanation: Ans. B. Chemoprophylaxis is done with rifampicina. Erythromycin for 10-14 days is used for prophylaxis.b. A child with diphtheria is treated with anti-toxin as soon as possible.c. Equine derived Antitoxin: 20,000-1,00,000 units I/M or I/V. is used